Which of the following antimicrobial drugs should be avoided in pregnancy?
1. Penicillin G
2. Ciprofloxacin
3. Cephalosporin
4. Erythromycin

Correct answer: 2. Ciprofloxacin

Explanation: Fluoroquinolones like ciprofloxacin can cause cartilage and tendon (achilles tendon) damage in the baby if given during pregnancy. It is more seen in old patients > 60 yrs old or patients taking steroids or those who had organ transplant. Safe antimicrobials in pregnancy are: P: Penicillins C: Cephalosporins M: Macrolides